Under the Primary health care, which of the following staff is present at the subcentre level ?
1. Block extension educator
2. Health guides
3. Multipurpose health worker
4. Medical officer

Correct answer: 3. Multipurpose health worker

Explanation: Ans. is 'c' i.e., Multipurpose health worker